The most important sign in Volkmann's ischaemic contracture is;
1. Pain
2. Pallor
3. Numbness
4. Obliteration of radial pulse

Correct answer: 1. Pain

Explanation: A i.e. Pain